Ether is not used in modern surgical practice, because it is –
1. Highly explosive
2. Poor anaesthetic
3. Expensive
4. Complicated apparatus needed

Correct answer: 1. Highly explosive

Explanation: Ether is highly inflammable and explosive.